Which of the following drug decreases plasma renin activity?
1. Enalapril
2. Nefidipine
3. Hydralazine
4. Clonidine

Correct answer: 4. Clonidine

Explanation: Ans. is 'd' i.e., Clonidine o Drugs which increase plasma renin activity (Diuretics, vasodilators, CCBs, ACE inhibitors) may be combined with drugs which lower plasma renin activity (sympatholytic drugs - b-blockers, clonidine, methyl dopa).